Contraindication for laparoscopic Cholecystectomy is?
1. Coagulopathy
2. Obstructive pulmonary disease
3. End-stage liver disease
4. All above

Correct answer: 4. All above

Explanation: Contraindications to laparoscopic cholecystectomy include Coagulopathy Severe chronic obstructive pulmonary disease End-stage liver disease Congestive heart failure Currently,
the major contraindication to completing a laparoscopic cholecystectomy is inability to clearly identify all of the anatomic structures